Trypsin cleavesa) Arginineb) Glutamatec) Lysined) Proline
1. a
2. bc
3. ac
4. b

Correct answer: 3. ac

Explanation: Trypsin hydrolyses peptide bonds fornied by carboxy terminal of lysine and arginine